Robert's sign is seen in
1. Dead born in 12 hours
2. Live born in 12 hours
3. Dead born in 24 hours
4. Live born in 24 hours

Correct answer: 1. Dead born in 12 hours

Explanation: Robert's sign: presence of gas in the great vessels (12 hours of intrauterine death) Spalding sign: overriding of bones of cranial vault (5 -7 days of intrauterine death)